Single umbilical artery is associated with all of the following except :
1. Polyhydramnios
2. Advanced maternal age
3. Fetal growth retardation
4. Increased incidence of fetal malformation

Correct answer: 2. Advanced maternal age

Explanation: Advanced maternal age